Fear of Strangers and Fear of Separation from parents for
the children will be diminished by
1. First Birthday
2. Fifth Birthday
3. Third Birthday
4. Seventh Birthday

Correct answer: 3. Third Birthday